All are asociated with pemphigus except:
1. Thymoma
2. CLL
3. Myasthenia gravis
4. Atrophic gastritis

Correct answer: 4. Atrophic gastritis

Explanation: Di.e. Atropine gastritis Paraneoplastic pemphigus may be associated with non Hodgkin's lymphomaQ (NHL), Chronic lymphocytic leukemiaQ (CLL), Castleman's disease, thymomaQ and spindle cell tumors. And pemphigus folliaceus is associated with thymoma & /or mysthenia gravisQ.